Which type of necrosis is seen in brain?
1. Coagulative
2. Liquefactive
3. Fat
4. Fibrinoid

Correct answer: 2. Liquefactive

Explanation: Liquefactive necrosis/Colliquative Necrosis Liquefactive necrosis, is characterized by digestion of the dead cells, resulting in transformation of the tissue into a liquid viscous mass. Hydrolytic enzymes activation results in damage to tissue architecture The necrotic material is frequently creamy yellow because of the presence of dead leukocytes and is called pus. Hypoxic death of cells within the central nervous system often manifests as liquefactive necrosis. It is also seen in focal bacterial or occasionally, fungal infections because microbes stimulate the accumulation of leukocytes and the liberation of enzymes from these cells.